Pneumocystis carini pneumonia prophylaxis is given in -a) If CD4 count < 200mlb) Tuberculosisc) If the viral load is 25,000 copies/mld) Oral candidiasis
1. ad
2. c
3. ac
4. ab

Correct answer: 1. ad